For teletherapy, isotopes commonly used are
1. 1-123
2. Cs-137
3. Co-60
4. Tc-99

Correct answer: 3. Co-60

Explanation: C i.e. Co-60